Which of the following is not characteristic of visceral pain -
1. Poor localisation
2. Diffuse in nature
3. High threshold
4. Very rapid adaptation

Correct answer: 4. Very rapid adaptation

Explanation: • Visceral pain is poorly localized, often the pain is referred or radiating
• Pain of hollow viscus is often felt as a colic (it comes and goes to reappear again).
• Highly localized types of damage to the viscera seldom cause severe pain
• Often accompanied by vomiting and hypotension